False statement regarding hormone status in menopausal women is :
1. Decresed FSH
2. Increased LH
3. Decreased estrogen
4. decreased progesterone

Correct answer: 1. Decresed FSH

Explanation: Decresed FSH